Prostatic venous plexus, communicates with all EXCEPT
1. Internal iliac vein
2. External iliac vein
3. Vesical plexus
4. Vertebral venous plexus

Correct answer: 2. External iliac vein

Explanation: (External iliac vein) (373-BDC-2 4th) (381-Snell 7th)Prostatic venous plexus - which is between the capsule of the prostate and the fibrous sheath* The prostatic plexus receives the deep dorsal vein of the penis and numerous vesical veins and drains into the internal iliac veins (381-Snell)* The plexus communicates with the vesical plexus and with the internal pudendal vein, and drains into the vesical and internal iliac veins. Valveless communications exist between the prostatic and vertebral venous plexus through which prostatic carcinoma can spread to the vertebral column and to the skull (373-BDC-2)